Central stellate scar on CT scans are seen in:
1. Renal oncocytoma
2. FNH
3. Serous cystadenoma pancreas
4. All of the above

Correct answer: 4. All of the above

Explanation: Central stellate Scar is seen in 1. FNH 2. Fibrolamellar HCC 3.Serous cystadenoma (Pancreas) 4.Renal Oncocytoma